Which of the following presents with unconjugated hyper bilirubinemia
1. Dubin - Johnson syndrome
2. Gilbert syndrome
3. Rotor's syndrome
4. All of the above

Correct answer: 2. Gilbert syndrome

Explanation: Unconjugated hyperbilirubinemia - Gilbert syndrome, Crigler najjar syndrome.
Conjugated hyperbilirubinemia : Dubin Johnson syndrome, Rotor syndrome.